Dentinal tubules are calcified in
1. Sclerotic dentin
2. Primary dentin
3. Secondary dentin
4. Interglobular dentin

Correct answer: 1. Sclerotic dentin